Which of the following is not a useful fluid for resuscitation in cardiac Arrest Patient:-
1. Normal Saline
2. Ringers Lactate
3. 5% Dextrose
4. Whole Blood

Correct answer: 3. 5% Dextrose

Explanation: 5% Dextrose is not a fluid to be ued for resusitation as dextrose is metabolised and it rest becomes free water.